In sexual assault of a child, the hymen is usually not ruptured due to:
1. Deep seated
2. Underdeveloped
3. Too tough to rupture
4. Distensible

Correct answer: 1. Deep seated

Explanation: Ans. Deep seated